Cradle cap is seen in
1. Seborrheic dermatitis
2. Pemphigus
3. Acute sun burn reaction
4. Psoriasis

Correct answer: 1. Seborrheic dermatitis